All occur in process of accommodation of eye except
1. Contraction of sphincter pupillae
2. Dilatation of pupil
3. Change in lens curvature
4. Contraction of ciliary muscles

Correct answer: 2. Dilatation of pupil

Explanation: Ans. b (Dilatation of pupil). (Ref. Parson, Diseases of Eye, 18th/pg.49, Basak, 2nd /68)ACCOMMODATION is ability to see near objects clearly, by increasing converging power of eye.Its components include:1. Constriction of ciliary muscles and sphincter pupillae2. Constriction of pupil3. Change in lens curvature (anterior surface)